Which of the following is not a system for classification of the angles of the anterior chamber?
1. Spaeth
2. RPC classification
3. Shaffers system
4. Sun Classification

Correct answer: 4. Sun Classification

Explanation: Sun classification is for grading of cells and flare in uveitis and not for the angle of the anterior chamber Shaffer, RPC and Spaeth all three are used for grading the angle of the anterior chamber